Berloque dermatitis is due to contact with -
1. Metals
2. Cosmetics
3. Food
4. Plants

Correct answer: 2. Cosmetics

Explanation: B i.e. Cosmetics Berlock dermatitis is a phototoxic reaction due to bergamot fragrance oil (5 methoxy psoralen) present in some perfumes & cosmeticsQ. It causes erythema followed by prolonged hyperpigmentation after exposure to sun light.